The appliance used to treat thumbsucking:
1. Crib appliance
2. Frankel appliance
3. Bionator
4. Activator

Correct answer: 1. Crib appliance